Which of the following is a live vaccine-
1. Salk
2. Sabin
3. Cholera vaccine
4. Rabies vaccine

Correct answer: 2. Sabin

Explanation: Ans. is 'b' i.e., Sabin * Varicella vaccine is live attenuated vaccine and is recommended for children between 12-18 months of age.Live 'attenuated' vaccinesKilled 'inactivated' vaccinesBCGPertussisOPV (Sabin - Oral polio vaccine)IPV (Salk - Inactivated polio vaccine)Measles vaccineRabies vaccineMumps vaccineCholera vaccineRubella vaccineMeningococcal vaccineChickenpox vaccineHepatitis B vaccineYellow fever vaccineTyphim - Vi vaccineTyphoralHepatitis - AHepatitis - A